All of the following are composite muscles, except
1. Flexor carpi Ulnaris
2. Flexor digitorum profundus
3. Pectineus
4. Biceps Femoris

Correct answer: 1. Flexor carpi Ulnaris

Explanation: Composite muscle/Hybrid muscles are those which havevmore than one set of fibres , but perform same function and are usually supplied by different nerves for different sets of fibres. Flexor carpi ulnaris is a superficial muscle of the front of the forearm.Its humeral head takes origin from medial epicondyle of humerus and the ulnar head from medial margin of olecranon and by an aponeurosis from posterior border of ulna.It is innervated by ulnar nerve. Flexor digitorum profundus is a deep muscle of the front of the forearm. Its radial half is supplied by median nerve and the ulnar halfbis supplied by ulnar nerve. Pectineus is an adductor muscle on the medial side of the thigh. Its anterior set of fibres is supplied by femoral nerve,while posterior setvof fibres is supplied by obturator nerve. Biceps femoris is a flexor muscle on the back of the thigh. Its long head arises with semitendinosus from medial part of ischial tuberosity,and is supplied by tibial part of sciatic nerve. The short head arises from linear aspera and the upper half of lateral supracondylar line,and is supplied by common peronal nerve. This reflects the composite derivation. Ref - medscape.com , pubmed.com